Tick born relapsing fever is/are caused by -a) Borrelia recurrentisb) Borrelia duttonii c) Borrelia burgdorferid) Borrelia hermsiie) None of above
1. bd
2. d
3. ab
4. ac

Correct answer: 1. bd